Weakness of extensor Hallucis longus is due to which nerve root mainly?
1. L5
2. L4
3. S1
4. S2

Correct answer: 1. L5

Explanation: Ans. is 'a' i.e., L5 Important muscles and their chief myotomesMuscleMyotomeExtensor Hallucis LongusL5Tibialis anteriorL4Flexor Hallucis LongusS1GastrosoleusS1Gluteus Medius and MinimusL5Gluteus MaximusS1Quadriceps FemorisL3